Which of the following dementia is associated with visual hallucinations?
1. Lewy body dementia
2. AIDS related Dementia
3. Huntington's disease
4. Mixed dementia

Correct answer: 1. Lewy body dementia

Explanation: Ans. A. Lewy body dementia -Lewy body dementia, also known as dementia withLewy bodies, is the second most common type of progressive dementia after Alzheimer's disease dementia.Protein deposits, called Lewy bodies, develop in nerve cells in the brain regions involved in thinking, memory and movement (motor control).